Occupational cancer involve following organs except -
1. Lung
2. Breast
3. Bladder
4. Liver

Correct answer: 2. Breast

Explanation: Occupational cancers Bladder Kidney Larynx Leukemia Liver Lung Lymphoma Mesothelioma Skin Ref: https://en.m.wikipedia.org/wiki/Occupational_cancer